Factors which reduce breast milk production are all of the following EXCEPT?
1. Sound of baby
2. Use of pacifiers
3. Formula feeding
4. Lack of night feeding

Correct answer: 1. Sound of baby

Explanation: Factors which | breast milk production: the thought, sight or sound of baby Factors which | breast milk production: Use of dummies, pacifiers Feeding bottles, formula feeding Sore or cracked nipples Lack of night feeding & inadequate emptying of breast.